Which of the following type of cell is responsible for stimulating cell mediated immunity?
1. TH1
2. TH2
3. NK cells
4. Null cells

Correct answer: 1. TH1

Explanation: T cells make up 70-80% of the the circulating lymphocytes and are primarily responsible for immunity to intracellular viruses, tumor cells and fungi. They are of 2 types cytotoxic and helper cells. Helper T cells are involved in the regulation of cell mediated immunity and humoral antibody response. Two subsets of them are TH1 and TH2. Th1 cells stimulate phagocyte mediated ingestion and killing of microbes which is the key component of cell mediated immunity. TH2 cells stimulate eosinophil mediated immunity, which is effective against parasites and is involved in allergic responses. Cytotoxic T cells are involved in attacking antigens on the cell membranes of foreign pathogens and releasing cytolytic substances that destroy the pathogen. These cells have antigen specificity and are sensitized by exposure to the antigen. Ref: Medical-Surgical Nursing: Assessment and Management of Clinical Problems . By Sharon L. Lewis, page 205.